Winging of scapula is seen in paralysis of which muscle-
1. Serratus anterior
2. Supraspinatus
3. Pectoralis major
4. Infraspinatus

Correct answer: 1. Serratus anterior

Explanation: Ans. is 'a' i.e., Serratus anterior Winging of scapulao In this condition the vertebral border of scapula becomes more prominent when patient tries to push against wall.o It occurs in paralysis of the serratus anterior muscle in long thoracic nerve palsy.